Cell fusion is an innovative technique of preparing specific antibodies. Techniques to induce the cell-fusion include the following except
1. By adhering some inactivated viruses to surface membrane
2. By adding component polyethylene glycol
3. By mild electric shock
4. By reducing the viscosity of the membrane

Correct answer: 4. By reducing the viscosity of the membrane

Explanation: Cell fusion is an innovative technique of preparing specific antibodies by the hybridoma technology introduced by Kohler and Milstein.Techniques to induce the cell-fusion include:By adhering some inactivated viruses to surface membraneBy adding component polyethylene glycolBy mild electric shock